What will be the treatment of choice for nodules present at the junction of anterior 1/3 & posterior 2/3 of vocal cords, in a 30 year old female singer with a history of gastrooesophageal reflux?
1. Microlaryngectomy
2. Microlaryngascopic surgery & C02 laser
3. Speech therapy and Proton Pump Inhibitor (PPI)
4. Direct laryngoscopy and biopsy

Correct answer: 3. Speech therapy and Proton Pump Inhibitor (PPI)

Explanation: Vocal nodules typically present at the junction of the anterior one-third and posterior two-third as this is the area which is subjected to maximum trauma. Speech therapy and educating the patient in using their voice is the recommended to prevent its recurrence. The patient also has gastro oesophageal reflux for which proton pump inhibitors should be prescribed.